Which of the following type of tumor may occur in the residual breast or overlying skin following wide local excision and radiotherapy for mammary carcinoma?
1. Angiosarcoma
2. Leiomyosarcoma
3. Basal cell carcinoma
4. Squamous cell carcinoma

Correct answer: 1. Angiosarcoma

Explanation: Angiosarcoma has an unknown etiology but it may be associated with radical mastectomy, radiotherapy (for cancer breast, ovary, cervix, endometrium), introduction of foreign materials into the body (dacron, steel), environmental carcinogens (dioxin, vinyl chloride), AIDS or with pre-existing benign lesions (bone infarct, osteomyelitis). Ref: Pathologic Basis of Disease, Robbins, 7th Edition, Page 1151; The MD Anderson Manual of Medical Oncology, 2nd Edition, Chapter 40.